Gastric emptying is delayed by ?
1. Distension of stomach
2. Gastrin
3. Acid in duodenum
4. Vagal stimulation

Correct answer: 3. Acid in duodenum

Explanation: Ans. is 'c' i.e., Acid in duodenum Gastric emptying The rate at which the stomach empties into the duodenum depends on the quantity and the type of food ingested. Distension of stomach triggers long (vagally mediated) and short (intrinsic neural plexus mediated) reflexes leading to strong peristaltic waves and increased gastric emptying. The local hormone gastrin also increases the rate of gastric emptying . Certain signals from the duodenum have a more important regulatory control over the gastric emptying. Distension of the duodenum; Hyperosmolarity in the duodenum (hyperosmolar chyme) ; and presence of acid, fatsand products of protein digestion in duodenum decrease gastric emptying by : - i) Hormonal mechanism :- Release of several intestinal hormones like secretin, cholecystokinin, VIP, GIP inhibit gastrin emptying, but also gastric acid secretion. ii) Enterogastric reflex : - Inhibit gastric emptying through the intrinsic enteric neural plexus. The rate at which the stomach empties into the duodenum depends on the type of food ingested. Food rich in carbohydrate leaves the stomach in a few hours. Protein rich food leaves more slowly, and emptying is slowest after a meal containing fat.